Heat therapy is used to treat musculoskeletal pain in many disorders. The methods of heat therapy are classified as superficial and deep heat therapies depending upon their tissue penetration. Which of the following is not a deep heat therapy?
1. Short wave diathermy
2. Infrared beam
3. Ultrasound therapy
4. Microwave diathermy

Correct answer: 2. Infrared beam

Explanation: . Ans. b. Infrared beam (Ref: Physiotherapy by Victor/p230)Infrared beam is a type of superficial heat therapy.Heat TherapySuperficialDeep* Only superficial structures i.e., skin and subcutaneous tissues are heated by conduction, convection and conversion (radiation)* It includes:- Hot bath/packs (kenny packs) /soaks/- Compresses^water bottle- Chemical packs- Paraffin wax bath- Infrared lamp- Moist air cabinet* Deeper structures i.e., muscles are heated by conversion or radiation.* It includes:* Short wave diathermy* Microwave therapy* Ultrasound therapy(r)